Most common cause of Abdominal Aortic Aneurysm is:
1. Atherosclerosis
2. Trauma
3. Syphilis
4. Vasculitis

Correct answer: 1. Atherosclerosis

Explanation: The abdominal aorta is commonly afftected by atheroma by the process of atherosclerosis. This atheroma causes intimal weaking leading to aneurysm. so atherosclerosis is the leading cause for Abdominal Aortic Aneurysm. Ref: Encyclopedia of Heart Diseases By M. I. Gabriel Khan. 2006, Page 27